Obscuration of left hea border is suggestive of
1. Pneumothorax
2. Pleural effusion
3. Right upper lobe collapse
4. Lingular pathology

Correct answer: 4. Lingular pathology

Explanation: Silhouette sign : Obscuration of a mediastinal border occurs by a pathology which is in close anatomical contact with it Obscuration of Rt Hea Border Rt Middle Lobe Pathology Obscuration of Left Hea Border Lingular Pathology Obscuration Of Aoic Knuckle Left Apicoposterior pathology Obscuration of Hemidiaphgrams Lower lobe pathologies